Granuloma formation is not seen in?
1. Asthma
2. Hodgkins disease
3. Sarcoidosis
4. Q-Fever

Correct answer: 1. Asthma

Explanation: Ans, is 'a' i.e. Asthma List of important granulomatous diseases* Important causes of immune granuloma arei) Bacterial infections TB, leprosy, syphilis, brucellosis, salmonellosis, Q-fever, cat scratch disease, yersinia.ii) Fungus & parasites Histoplasma, blastomycosis, coccidioidomycosis, schistosomiasis, trichiniasis, filariasis.iii) Other Sarcoidosis, Crohn's disease, Wegners granulomatosis, RA, Giant cell arteritis, Hodgkin's disease, Berylliosis, Byssinosis.